Oedipus complex is related to which phase of psychosexual development ?
1. Oral
2. Anal
3. Genital
4. Phallic

Correct answer: 4. Phallic

Explanation: Ans. is `d' i.e., Phallic